Which of the following drug toxicity can be seen in Crigler Najjar syndrome?
1. Tenofovir
2. Zidovudine
3. Atazanavir
4. Nevirapine

Correct answer: 3. Atazanavir

Explanation: Ans. C. Atazanavira. In Crigler-Najjar syndrome there is a deficiency/absence of glucuronyl transferase and hence there can be toxicity of drugs metabolized by glucuronidation.b. Drugs metabolized by glucuronidation with established toxicity in case of Crigler-Najjar syndrome are irinotecan and atazanavir